Most commonly injured tarsal bone ?
1. Talus
2. Navicular
3. Cunieform
4. Calcaneum

Correct answer: 4. Calcaneum

Explanation: Ans. is 'd' i.e., Calcaneum Calcaneum is the most commonly fractured tarsal bone In 5-10% of cases fracture is bilateral Most common mechanism of injury is fall from height, often from a ladder, onto one or both heels. The calcaneum is driven up against the talus and is split or crushed. About one fifth of these patients suffer associated injuries of the spine, pelvis or hip. Calcaneal fracture is also known as Voveri fracture' Plain x-rays done for calcaneal fracture include lateral, oblique and axial views. Axial view of calcaneum is also called Hark view. CT is the investigation of choice With severe injuries and especially with bilateral fractures - it is essential to take x-ray the knees, the spine and the pelvis as well.